Which of the following malformation in a newborn is specific for maternal insulin dependent diabetes mellitus?
1. Transposition of great arteries
2. Caudal regression
3. Holoprosencephaly
4. Menrngmyelocele

Correct answer: 2. Caudal regression

Explanation: CRS is about 200 times more frequent in patients with diabetes than in normal, healthy women, where the incidence rate is estimated at between 0.2 and 1%. This makes it the most specific fetal malformation in maternal diabetes. Ref: Early Detection of Caudal Regression Syndrome By D. Subtil et al; European Journal of Obstetrics and Gynecology and Reproductive Biology 80 (1998), Pages 109-112. 3. Diabetes in Women: Adolescence, Pregnancy, and Menopause By E. Albert Reece, Donald R. Coustan, Steven G. Gabbe, 2004, Page 195